Which of the following ganglion is associated with lacrimation?
1. Otic
2. Ciliary
3. Sphenopalatine
4. Gasserian

Correct answer: 3. Sphenopalatine

Explanation: Secretomotor fibres for lacrimal gland arise from the facial nerve at geniculate ganglion, travel in greater petrosal nerve and join the sphenopalatine ganglion as vidian nerve. After relay in the ganglion, they are distributed to lacrimal gland.